Drug of choice for hypertension crises in systemic sclerosis is
1. Beta blocker
2. Losartan
3. ACE inhibitor
4. Nitrates

Correct answer: 3. ACE inhibitor

Explanation: One of the main causes of death is hypertensive renal crisis, characterised by rapidly developing malignant hypertension and renal failure. Hypertensive renal crisis is much more likely to occur in DCSS than in LCSS, and in patients with topoisomerase 1 antibodies. Hypertension should be treated aggressively with ACE inhibitors, even if renal impairment is present. DAVIDSON'S 22nd EDITION;PAGE NO 1113